True about quinsy is:
1. Penicillin is used in treatment
2. Abscess is located in capsule
3. Commonly occurs bilaterally
4. Immediate tonsillectomy should be done

Correct answer: 1. Penicillin is used in treatment

Explanation: Quinsy is collection of pus outside the capsule (not in capsule) in peritonsillar area It is usually unilateral Patient presents with toxic symptoms due to septicemia as well as local symptoms (e.g. dribbling of saliva from mouth) Antibiotics: High-dose penicillin. (IV benzipenicillin) is the DOC. In patients allergic to penicillin, erythromycin is the DOC. If antibiotics fail to relieve the condition within 48 hours, then the abscess must be opened and drained.